Muscle not supplied solely by Median nerve
1. Abductor pollicis brevis
2. Opponens pollicis
3. Flexor pollicis brevis
4. Pronator quadratus

Correct answer: 3. Flexor pollicis brevis

Explanation: Flexor pollicis brevis is primarily supplied by median nerve. But it's deep head gets supply from Ulnar nerve.